Artery behind medial malleolus is -
1. Posterior tibial artery
2. Anterior tibial artery
3. Dorsalis pedis artery
4. None of the above

Correct answer: 1. Posterior tibial artery

Explanation: Ans. is 'a' i.e., Posterior tibial artery Posterior tibial arteryo It begins at the lower border of popliteus muscle and terminates in the tarsal tunnel undercover of flexor retinaculumo It gives of following branches :i) Circumflex fibularii) Nutrient artery to tibia (largest nutrient artery of body)iii) Peroneal artery (gives nutrient artery to fibula)iv) Communicating branchv) Malleolar branchvi) Calcaneal branchvii) Several muscular brancheso It terminates behind the medial malleolus by dividing into medial and lateral plantar arteries.o Medial plantar artery is the smaller terminal branch of posterior tibial artery and gives three superficial plantar digital arteries which join the plantar metatarsal branches of plantar arch.o Lateral plantar artery is large terminal branch and continues as plantar arch and meet the terminal part of dorsalis pedis artery to complete the arch.